The hepatocyte is compartmentalized to carry out specific functions. In which subcellular compartment does fatty acid synthesis occur
1. Cytoplasm
2. Mitochondria
3. Nucleus
4. Endosomes

Correct answer: 1. Cytoplasm